Ganglion of tendons is an example of
1. Neoplastic process
2. Malformation
3. Amyloid deposition
4. Myxomatous degeneration

Correct answer: 4. Myxomatous degeneration

Explanation: ganglions arises due to cystic or myxoid degeneration of connective tissue. The cyst wall lacks a true cell lining. The fluid that collects is similar to synovial fluid.A ganglion is a term applied to a cyst filled with colloid material which is met within the vicinity of a joint or tendon sheath. ... A hernial protrusion of a synovial membrane of a joint or tendon sheath often occurs with the resultant formation of a ganglion. option 4 is right robbins basic pathology. chapter bones,joints and soft tissue tumours. page no. 1315.